Greatest resistance in peripheral blood circulation is due to:
1. Arteries
2. Arterioles
3. Veins
4. Capillaries

Correct answer: 2. Arterioles

Explanation: Arterioles